Deficiency of the following enzyme causes hereditary fructose intolerance?
1. Aldolase A
2. Aldolase B
3. Fructokinase
4. Glycerol kinase

Correct answer: 2. Aldolase B

Explanation: The absence of aldolase B, which cleaves fructose-1-phosphate, leads to hereditary fructose intolerance, which is characterized by profound hypoglycemia and vomiting after consumption of fructoseA lack of hepatic fructokinase causes essential fructosuria, which is a benign and asymptomatic condition.Harper 30th edition PG: 205